Mouse is used for pathogenicity testing in -
1. M. Tuberculosis
2. C diphtheriae
3. Bordetella pertussis
4. Brucella

Correct answer: 3. Bordetella pertussis